Partial recurrent laryngeal nerve palsy produces vocal cord in which position -a) Cadevericb) Abductedc) Adductedd) Paramedian
1. ab
2. cd
3. bd
4. ac

Correct answer: 2. cd

Explanation: In RLN paralysis vocal cord is in adducted (median or paramedian) position.